Malignant otitis externa is -
1. Malignancy of external ear
2. Caused by hemophilus influenzae
3. Blackish mass of aspergillus
4. Pseudomonas infection in diabetic patient

Correct answer: 4. Pseudomonas infection in diabetic patient